Crown lengthening may be required if the crown height from the crestal bone is less than
1. 1.5 mm
2. 2 mm
3. 3 mm
4. 4 mm

Correct answer: 3. 3 mm